Regarding removal of cervical cap, true is
1. Cervical cap should be left in place for entire cycle length
2. Cervical cap must be left in place for atleast 8 hours after intercourse
3. Cervical cap can be removed immediately and vaginal douching is done
4. Cervical cap should be left until the next menstruation starts

Correct answer: 2. Cervical cap must be left in place for atleast 8 hours after intercourse

Explanation: Cervical cap must be left for 8 hours atleast to provide effective contraception.